Extreme hunger in starvation lasts upto -
1. 6 - 12 hours
2. 12 - 24 hours
3. 24 - 36 hours
4. 36 - 48 hours

Correct answer: 4. 36 - 48 hours

Explanation: Ans. is 'd' i.e., 36 - 48 hours Starvation is the result of actual deprivation of food or administration of unsuitable food. Starvation may be :? Acute (complete) : Sudden and complete stopage of food. Chronic (partial) : Gradual deficient supply of food. An acute starvation, the reserve carbohydrates, then fat and last the proteins are used up. Feeling of hunger with hunger pain lasts for 30-48 hours. After 4-5 days, there is emaciation, absorption fat and loss of weight (7-8 kg in 10 days).